Among the following conditions of hypercalcemia, PTH is not elevated in
1. Parathyroid adenoma
2. Familial hypocalciuric hypercalcemia
3. Parathyroid hyperplasia
4. Sarcoidosis

Correct answer: 4. Sarcoidosis

Explanation: In individuals with primary hyperparathyroidism, serum PTH levels are inappropriately elevated for the level of serum calcium, whereas PTH levels are low to undetectable in hypercalcemia caused by of non-parathyroid diseasesSarcoidosis is a non-parathyroid cause of hypercalcemiaFamilial hypocalciuric hypercalcemia, a rare autosomal dominant disorder caused by loss-of-function mutations in the parathyroid calcium-sensing receptor gene (CASR), which results in decreased sensitivity to extracellular calcium. PTH is elevated.Robbins pathology 9e pg: 1103